Crutch palsy is injury to which nerve?
1. Radial nerve
2. Ulnar nerve
3. Median nerve
4. Musculocutaneous nerve

Correct answer: 1. Radial nerve

Explanation: Answer-A. Radial nerveVery high lesions of radial nerve may be caused by trauma or operations around the shoulder.This is seen in drink and drug addicts who fall into a stupor with the arm dangling over the back of a chair ('saturday night pals/) or in thin elderly patients using crutches ('crutch palsy').